Folding protein are:
1. GLUT-1
2. Calnexin
3. Cytochrome 450
4. Insulin receptor

Correct answer: 2. Calnexin

Explanation: B i.e. Calnexin,